Mucous glands are absent in -
1. Cervix
2. Esophagus
3. Vagina
4. Duodenum

Correct answer: 3. Vagina

Explanation: The wall of the vagina consists of a mucous membrane, a muscle coat and an outer fibrous coat or adventitia.
The mucous membrane is lined by Stratified squamous epithelium. The epithelial cells are rich in glycogen. No glands are seen in the mucosa, the vaginal surface being kept moist by secretions of glands in the cervix.
At the upper and lower ends of the esophagus, some tubulo-alveolar mucous glands are present in the lamina propria.